At least 15 species of Mycoplasma are of human origin, and five are of primary importance. Which of the following organisms normally inhabits the female genital tract and is strongly associated with salpingitis and ovarian abscesses?
1. Mycoplasma fermentans
2. Mycoplasma hominis
3. Mycoplasma pneumoniae
4. Mycoplasma orale

Correct answer: 2. Mycoplasma hominis

Explanation: Members of the mycoplasma group that are pathogenic for humans include M. pneumoniae and U. urealyticum. Mycoplasma pneumoniae is best known as the causative agent of PAP, which may be confused clinically with influenza or legionellosis. It also is associated with arthritis, pericarditis, aseptic meningitis, and the Guillain-Barre syndrome. M. pneumoniae can be cultivated on special media and identified by immunofluorescence staining and "fried egg" colonies on agar.Ureaplasma urealyticum (once called tiny, or T. strain) has been implicated in cases of NGU. As the name implies, this organism is able to split urea, a fact of diagnostic significance. Ureaplasma urealyticum is part of the normal flora of the genitourinary tract, particularly in women.Both M. orale and M. salivarium are inhabitants of the normal human oral cavity. These species are commensals and do not play a role in disease.The only other species of Mycoplasma associated with human disease is M. hominis. A normal inhabitant of the genital tract of women, this organism has been demonstrated to produce an acute respiratory illness that is associated with sore throat and tonsillar exudate, but not with fever. M. hominis can cause disease outside the urinary tract in immunosuppressed patients or immunocompetent patients after trauma of the genitourinary tract. Other opportunistic infections known to be caused by M. hominis include wound infections, osteomyelitis, brain abscess, pneumonia, and peritonitis. It has been associated with neonatal pneumonia and sepsis. Mycoplasma fermentans is an animal isolate.